All of the following are radio-opaque stones except:
1. Calcium
2. Struvite
3. Uric acid
4. Cystine

Correct answer: 3. Uric acid

Explanation: Ans. C: Uric acid